The following methods are used to lower the intracranial pressure in patients with head injury except
1. Hyperventilation
2. Administration of Mannitol
3. Hypothermia
4. Administration of Nifedipine

Correct answer: 4. Administration of Nifedipine

Explanation: ICP monitoring guides the use of specific therapies such as cerebrospinal fluid (CSF) drainage, sedation, mild hyperventilation, or hyperosmolar euvolemia with administration of hypertonic saline or mannitol, or both, for control of ICP and CPP. Ref: Youmans-and-Winn-Neurological-Surgery 8th ed, p-2943